The distance between the teeth and the axis of rotation is 
shorter than the skull with the resultant loss of accuracy the instrument which produces such type of replication is:
1. Semi adjustable articulator
2. Hinge articulator
3. Fully adjustable articulator
4. Face bow articulator

Correct answer: 2. Hinge articulator